Micelles are formed by
1. Triacylglycerol in polar solvent
2. Amphipathic lipids in water
3. Triacyl glycerol in gut
4. Cholesterol esters

Correct answer: 2. Amphipathic lipids in water

Explanation: Bile salts help in the absorption of Fatty acidsMonoglycerides CholesterolOther lipids from the intestinal tractThey do this by forming very small physical complexes with these lipids; the complexes are called micelles. As amphipathic molecules with hydrophobic and hydrophilic regions, conjugated bile salts sit at the lipid/water interface and, at the right concentration, form micelles. Ref:Guyton ,11e,pg no:840